Pulfrich effect is seen in -
1. Multiple sclerosis
2. Gullian Barre syndrome
3. Parkinson's disease
4. Alzheimer's disease

Correct answer: 1. Multiple sclerosis

Explanation: Answer- A. Multiple sclerosisThe Pulfrich effect is a sign of optic neuritis seen in patients with Multiple sclerosis.The Pulfrich effect is a psychophysical percept wherein a two dimensional lateral motion of an object in the fietd of view is interpretd by the visual cortex as having a depth component (three dimensional), due to a relative difference in signal timings between the two eyes.